Lancinating pain around the tonsils during eating is indicative of
1. Trigeminal neuralgia
2. Glossopharyngeal neuralgia
3. Facial neuralgia
4. None of the above

Correct answer: 2. Glossopharyngeal neuralgia

Explanation: (B) Glossopharyngeal neuralgia # Nerve Supply of Tonsils:* Lesser palatine branches of sphenopalatine ganglion (CN V) and glossopharyngeal nerve provide sensory nerve supply.